All of the following statements about Nasopharyngeal carcinoma are true, except
1. Bimodal age distribution
2. Nasopharyngectomy with radical Neck dissection is the treatment of choice
3. IgA antibody to EBV is observed
4. Squamous cell carcinoma is the most common histological subtype

Correct answer: 2. Nasopharyngectomy with radical Neck dissection is the treatment of choice

Explanation: Radiotherapy: It is the treatment of choice for nasopharyngeal cancer. Stage I and II are treated by radiotherapy alone while stage III and IV require concomitant radiation and chemotherapy or radiation followed by chemotherapy. External beam radiation of 6000-7000 cGy can be delivered by the linear accelerator to the primary and both sides of the neck. More advanced techniques of radiotherapy such as three-dimensional conformal radiotherapy and intensity modulated radiotherapy (IM) are now being used more and more. (Ref: Diseases of Ear, Nose and Throat, P.L Dhingra, 7th edition, page 285)